Miss folded proteins might be produced due to defect of:
1. Cholesterol
2. Mitochondrial
3. Rough endoplasmic reticulum
4. Smooth endoplasmic reticulum

Correct answer: 3. Rough endoplasmic reticulum

Explanation: Rough endoplasmic reticulum is associated with protein synthesis, protein folding and miss folded protein degradation. Ref:Guyton and Hall textbook of medical physiology 12th edition,page number:10,11,12